Sheehan syndrome is due to:
1. Adrenal haemorrhage
2. Pituitary haemorrhage
3. Hypothalaamic hemorrhage
4. Pancreatic haemorrhage

Correct answer: 2. Pituitary haemorrhage

Explanation: Ans: b (Pituitary haemorrhage) Ref:Harrison, 16th ed, p. 2078Sheehan syndrome refers to panhypopituitarism after postpartum pituitary apoplexy.Apoplexy is an endocrine emergency that may result in severe hvpoglycaemia. hypotension. CNS haemorrhage and death.The hyperplastic enlargement of the pituitary during pregnancy increases the risk for haemorrhage and infarction. Acute symptoms - severe headache, signs of meningeal irritation, bilateral visual changes, ophthalmoplegia, cardiovascular collapse and loss of consciousness.Investigation:Pituitary CT or MRI - intratumoral or sellar haemorrhage. Pituitary stalk deviation and compressionTreatmenta) Patient with visual loss and impaired consciousness - surgical decompressionb) No visual loss, no loss of consciousness - high dose glucocorticoids.